The most common cause of acute sciatica is due to
1. Trauma
2. Secondaries of spine
3. Acute prolapsed Intervertebral disc
4. Tuberculosis of spine

Correct answer: 3. Acute prolapsed Intervertebral disc

Explanation: C i.e. Acute prolapsed disc